Which one of the following is the description used for the term allodynia?
1. Absence of pain perception
2. Complete lack of pain sensation
3. Unpleasant sensation with or without a stimulus
4. Perception of an ordinarily non noxious stimulus as severe pain

Correct answer: 4. Perception of an ordinarily non noxious stimulus as severe pain

Explanation: Allodynia refers to central pain sensitization (increased response of neurons) following normally non-painful, often repetitive, stimulation. Allodynia can lead to the triggering of a pain response from stimuli which do not normally provoke pain.Ref: Ganong's review of medical physiology, 23rd edition, Page no:168